Bortezomib is used for treatment of which cancer?
1. Multiple myeloma
2. Breast cancer
3. Tyrosine kinase inhibitor
4. Janus kinase inhibitor

Correct answer: 1. Multiple myeloma

Explanation: Proteasome inhibitors - Bortezomib - Ixazomib - Carfilzomib Bortezomib - primary indication is Multiple Myeloma, both for first line combined therapy as well as for relapsed disease. It is also used for refractory mantle cell lymphoma.